Ion exchange chromatography is based on -
1. Size
2. Charge
3. Solubility
4. Polarity

Correct answer: 2. Charge

Explanation: Ans. is 'b' i.e.. Charge Property of protein usedMethodProtein solubility'Salting out' or salt extraction (precipitation of protein by ammonium sulfate)Molecular sizeo Gel filtration chromatography (molecular-sieve chromatography or size exclusion chromatography)o Ultracentrifugationo SDS-PAGE (Sodium dodecvl sulphate-polyacry lamide gel electrophoresis)o DialysisMolecular charge (Ionic charge)o Ion exchange chromatographyo High performance liquid chromatography (HPLC)o Electrophoresis (simple on cellulose acetate starch gel)o Isoelectric focusing (a variant of electrophoresis)Molecular charge and molecular w eightPAGE : polyacrylamide gel electrophoresisAffinity bindingAffinity chromatographyHvdnophobidty'Hydrophobic interaction chromatography